In bilateral recurrent Laryngeal nerve palsy which of the following is seen?
1. Hoarseness, dysponea and stridor
2. Dysponea and stridor with normal voice
3. Inhalation of food and feeble voice
4. Hoarseness and dysponea

Correct answer: 2. Dysponea and stridor with normal voice

Explanation: Bilateral recurrent Laryngeal nerve palsy is characterized by dysponea and stridor with normal voice. Ref: ENT textbook by Dhingra 6th edition Pgno : 326